Which is the best marker for NTD?
1. aFP
2. hCG
3. Pseudocholinesterase
4. Inhibin-A

Correct answer: 1. aFP

Explanation: a. aFP(Ref: Nelson's 20/e p 2802)Prenatal screening of maternal serum for AFP in the 16th-18th wk of gestation is an effective method for identifying pregnancies at risk for fetuses with neural tube defects in utero.